Which of the following predominant constituents of sulfur granules of Actinomycosis is
1. Organisms
2. Neutrophils and monocytes
3. Monocytes and lymphocytes
4. Eosinophils

Correct answer: 1. Organisms

Explanation: (Organism) (618-A7th)* The sulfure granules seen in case of Actinomycosis are actually bacterial colonies* These 'granules' or 'grains' are microcolonies of the etiological agents and their demonstration is of diagnostic value